Pelvis alone helps in?
1. 95% sex determination
2. 90% sex determination
3. 75% sex determination
4. 50% sex determination

Correct answer: 1. 95% sex determination

Explanation: Pelvis is the single best bone for sex determinationQ. 95 % accuracy as per Krogman's accuracy Skull - 90% Long bones- 80% Complete skeleton - 100 %